Commonest site of peptic ulcer is -
1. Ist part of duodenum
2. IInd part of duodenum
3. Distal 1/3 of stomach
4. Pylorus of the stomach

Correct answer: 1. Ist part of duodenum

Explanation: Ans. is 'a' i.e., 1st part of Duodenum Duodenum, 1st portion Stomach, usually antrum At the gastro - esophageal junction, in the setting of gastroesophageal reflux or Barrett's esophagus Within the margins of a gastrojejunostomy In the duodenum, stomach or jejunum of patients with Zollinger-Ellison Syndrome Within or adjacent to Meckels diverticulum that contains ectopic gastric mucosa